Compound that joins glycolysis with glycogenesis and glycogenolysis is
1. Glucose 1,6 biphosphate
2. Glucose-1-phosphate
3. Glucose-6-phosphate
4. Fructose 1,6 biphosphate

Correct answer: 3. Glucose-6-phosphate

Explanation: Glucose-6-phosphate is an important compound that joins several metabolic pathways viz. glycolysis, glycogenolysis, glycogenesis, gluconeogenesis and pentose phosphate pathway.